Antipsychotic induced "akathisia" is characterized by the presence of which of the following manifestation?
1. Rigidity
2. Tremor
3. Spasm of muscle/muscle group
4. Restlessness

Correct answer: 4. Restlessness

Explanation: Akathisia refers to an inner feeling of restlessness, an inability to sit still, and a compulsion to move about. Patient constantly shifts his body and legs, crosses and uncrosses his legs, and swings the free leg. Running in place and persistent pacing are also characteristic features of this condition. Patients with advanced disease complaints of difficulty in concentration, distraction and a constant urge to move. Centrally acting low dose beta blocker such as propranolol is an effective drug used in the treatment of akathisia. Lorazepam and clonazepam are also effective in reducing the symptoms. Ref:Ropper A.H., Samuels M.A. (2009). Chapter 6. Tremor, Myoclonus, Focal Dystonias, and Tics. In A.H. Ropper, M.A. Samuels (Eds), Adams and Victor's Principles of Neurology, 9e. American Psychiatric Association Practice Guidelines for the Treatment of Psychiatric disorders By American Psychiatric Association page 649.